Sympathetic stimulation causes
1. Pupillary constriction
2. Contraction of bladder detrusor
3. Bronchial smooth muscle contraction
4. Vasoconstriction of skin and mucus membranes

Correct answer: 4. Vasoconstriction of skin and mucus membranes

Explanation: Sympathetic stimulation causes vasoconstriction in all blood vessels except those in skeletal muscles. And causes pupillary dilatation, bronchial smooth muscle dilation, relaxation of detrussor muscle of bladder Ref: Ganong's review of medical physiology; 23rd edition; pg:556